Which is a branch of internal iliac artery -
1. Inferior epigastric artery
2. Femoral artery
3. Renal artery
4. Uterine artery

Correct answer: 4. Uterine artery

Explanation: Ans. is 'd' i.e., Uterine artery o Branches of anterior division of internal iliac artery are : (i) Superior vesical, (ii) Middle rectal, (iii) Inferior vesical (in males), (iv) Internal pudendal, (v) Vaginal (in females), (vi) Uterine (in females), (vii) Obturator, and (viii) Inferior gluteal.o Branches of posterior division are : (i) Iliolumbar, (ii) Lateral sacral, and (iii) Superior gluteal.